Roopmati A56 year old female with lymph node positive breast with cancer was stated with systemic chemotherapy. 4 weeks letter should develop frequent urination suprapubic pain dysuria and hematuria.which of the following could have prevented this patients condition
1. Folinic acid
2. Mesna
3. Dexrazoxane
4. Amifostine

Correct answer: 2. Mesna

Explanation: Ref-Katzung 11/r p941 The patient described in the question has hemorrhagic cystitis caused oyl drugs like cclophosphamide and itostamide. Hemorrhagic cystitis during therapy with cvclophosphamide or iostamide is caused by the urinary excretion of the toxic metabolite acrolein. This can be prevented byby aggressi hvdration, bladder irrigation, and administration of mesna, a sulfhydryl compound that binds acrolein in the urine.